What is hypnopampic phenomenon?
1. If experienced while falling asleep
2. If experienced while awakening
3. After head trauma
4. After convulsion

Correct answer: 2. If experienced while awakening

Explanation: B. i.e. If experienced while awakening